Prion disease is cuased by
1. Misfolding of proteins
2. Denaturation of protein
3. Reduced formation of proteins
4. Excess formation of proteins

Correct answer: 1. Misfolding of proteins